1st drug to be used in absence seizures:
1. Phenytoin
2. BZD
3. Valproate
4. Carbamazepine

Correct answer: 3. Valproate

Explanation: Ans. is 'c' i.e., Valproate Choice of antiepileptic drugs (adults) Seizure typeInitial choiceSecond lineTonic-clonicPhenytoin,Carbamazepine,ValproateLamotrigine,OxcarbazepineMyoclonicPartialValproateCarbamazepine,PhenytoinLamotrigineValproate,Lamotrigine,OxcarbazepineAbsenceValproateEthosuximide,LamotrigineUnclassifiableValproateLamotriginePAEDIATRICS